A 56 year old chronic smoker, mass in bronchus resected. What is the possible marker?
1. Cytokeratin
2. Vimentin
3. Epithelial membrane Cadherin
4. Leukocyte

Correct answer: 1. Cytokeratin

Explanation: Ans. is 'a' i.e., Cytokeratin o Squamous cell carcinoma is most commonly found in men and is closely correlated with a smoking history. o Histologically, it is characterized by keratinization and intracellular bridges. o Cytokeratin is a marker for keratinizing cells.